Non -sterile hypopyon is seen in -
1. Pneumococcus infection
2. Pseudomonas infection
3. Fungal infection
4. Gonococcal infection

Correct answer: 3. Fungal infection

Explanation: In fungal ulcer, usually a big hypopyon is present even if the ulcer is small.Unlike the bacterial ulcer,the hypopyon may not be sterile as the fungi can penetrate into the anterior chamber without perforation. Reference:Comprehensive ophthalmology,AK Khurana,6th edition,page no.106